What is the most common complication following TIPSS?
1. Encephalopathy
2. Hepatic ischemia
3. Infection
4. Life-threatening hemorrhage

Correct answer: 1. Encephalopathy

Explanation: TIPSS is a percutaneous procedure used for treatment of patients who have gastroesophageal varices in the setting of portal hypertension. It has largely replaced surgical portosystemic shunts due to the fact that it is both safe and effective while also providing a minimally invasive alternative to major abdominal surgery. TIPSS functions by creating an intrahepatic shunt between the portal and systemic circulation which causes a reduction in the portal pressure and ultimately in the blood flow through varices. It is accomplished by endovascular access through the jugular vein to a hepatic vein radical and subsequent creation of a needle tract that connects it to a branch of the portal vein. After dilation of the tract, a metallic stent is deployed to hold the new portosystemic connection open. Because this shunt reduces first pass metabolism of the liver, the most common complication of TIPS is encephalopathy which occurs in 25 to 30% of patients. Other complications such as hepatic ischemia, infection, renal failure, and hemorrhage may occur, but are rare